Testes are not palpable in
1. SRY deletion
2. DAX 1 deletion
3. WNT4 gene mutation
4. RSPO1 gene mutation

Correct answer: 1. SRY deletion

Explanation: WT-1 and SF-1 genes stimulate genital ridge to form primitive (bipotential) gonad which then differentiates either into ovary or testis.SRY genes involved in the development of male gonads (testes) from primitive (bipotential gonads)DAX-1, WNT-4, and RSPO1 genes are involved in the development of female gonads (ovary)(Refer: Nelson's Textbook of Pediatrics, SAE, 1st edition, pg no. 2730)